Sling psychrometer is used for measuring -
1. Air velocity
2. Rain fall
3. Median radiant temperature
4. Relative humudity

Correct answer: 4. Relative humudity

Explanation: Relative humidity of air may be obtained from the readings of sling psychrometer /whirling psychrometer. Park's Textbook of Preventive and Social Medicine, 25th Edition, Pg 809